Notochord develops in -
1. 3rd week
2. 3rd month
3. 6th month
4. 10th month

Correct answer: 1. 3rd week